Episodic generalized weakness can occur due to all of the following acute electrolyte disturbances, EXCEPT
1. Hypokalemia
2. Hypocalcemia
3. Hyponatremia
4. Hypophosphatemia

Correct answer: 2. Hypocalcemia

Explanation: Hypocalcaemia is low calcium levels in the blood serum.The normal range is 2.1-2.6 mmol/L (8.8-10.7 mg/dl, 4.3-5.2 mEq/L) with levels less than 2.1 mmol/l defined as hypocalcemia. Mildly low levels that develop slowly often have no symptoms.Otherwise symptoms may include numbness, muscle spasms, seizures, confusion, or cardiac arrest. Initial treatment for severe disease is with intravenous calcium chloride and possibly magnesium sulfate.Other treatments may include vitamin D, magnesium, and calcium supplements If due to hypoparathyroidism, hydrochlorothiazide, phosphate binders, and a low salt diet may also be recommended. About 18% of people who are being treated in hospital have hypocalcemia. Ref Harrison20th edition pg 2569